Amino acid w hich is optically inert -
1. Valine
2. Alanine
3. Glycine
4. Threonine

Correct answer: 3. Glycine

Explanation: Ans. is 'c' i.e., Glycine o The a-carbon of amino acids has four different groups attached to it and so is a chiral or asymmetric carbon,o Hence, there are two possible enantiomers, L and D, i.e., mirror image with refrence to a-carbon.o The chiral carbon is also responsible for optical activity and stereoisomerism.o Only exception is glycine, which is the simplest amino acid.o Glycine has no chiral carbon (chirality) because a-carbon of glycine does not have four different groups attached to it.o Therefore glycine does not have optical activity or D and L forms (enantiomers).